Smallest diameter of pelvis is?
1. Interspinous diameter
2. True conjugate
3. Diagonal conjugate
4. Intertuberous diameter

Correct answer: 1. Interspinous diameter

Explanation: Interspinous diameter REF: Clinical Obstetrics 10th edition by S. Gopalan, Sarala & Jain, Vanita Page 4, Manual of Obstetrics, 3e by Shirish N Daftary Page 11-12, Manual Of Obstetrics (2Nd Edition) by Daftary Page 16-18 "Interspinous diameter (transverse diameter of midpelvis = 10 cm or somewhat more) is the smallest diameter of pelvis" REF: Williams's obstetric 22nd edition page 34